Which of the following nerve fibre is unmylenated?
1. A-aplha
2. A-beta
3. A-delta
4. C fiber

Correct answer: 4. C fiber

Explanation: C fibres are unmyelinated fibres and they are the slowest ones to conduct an impulse.Ref: Ganong's review of medical physiology; 23rd edition; pg:88